Serpiginous ulcers with deep fissures are seen in?
1. Crohn's disease
2. Ulcerative colitis
3. Neutropenic colitis
4. Amoebic dysentery

Correct answer: 1. Crohn's disease

Explanation: Serpiginous ulcers are features of Crohn's Disease. Pseudopolyps are seen in ulcerative colitis.FeatureCrohn's diseaseUlcerative colitisDistributionSegmental with skip areasContinuous without skip areasLocationCommonly terminal ileum and/or ascending colonCommonly rectum, sigmoid colon and extending upwardsExtentUsually involves the entire thickness of the affected segment of bowel wallUsually superficial, confined to mucosal layerUlcersSerpiginous ulcers may develop into deep fissuresSuperficial mucosal ulcers without fissuresPseudo-polypsRarely seenCommonly presentFibrosisCommonRareShorteningDue to fibrosisDue to contraction of muscularis